Most common type of leprosy
1. TT
2. BT
3. BB
4. LL

Correct answer: 2. BT

Explanation: Mycobacterium leprae - Causes hansen's disease- Not cultured in pure culture media - Most common type is BT - Rarest type of leprae BB - First sensation lost is cold then hot Fig - Lepra cells / Virchow cells / Foam cells